All are side effects of Clozapine, except ?
1. Granulocytopenia
2. Seizures
3. Sedation
4. Extrapyramidal side effects

Correct answer: 4. Extrapyramidal side effects

Explanation: Ans. is 'd' i.e., Extrapyramidal side effects Side effects of clozapine Agranulocytosis Unstable BP & Tachycardia Worsening of diabetes Seisures Urinary incontinence Hypersalivation (sialorrhoea) Weight gain Sedation